The plexus of Rashkov is present in which of the following zones in pulp?
1. Cell free zone
2. Cell rich zone
3. Odontoblastic zone
4. Pulp core

Correct answer: 1. Cell free zone